Which of the following is not ionizing:
1. Beta radiation
2. Alpha radiation
3. Gamma radiation
4. UV radiation

Correct answer: 4. UV radiation

Explanation: d) uv radiation ref: SPM Park 17th/e p.521, principal and practice of oncology 6th/e p. 195-196